Orexins play an important role in people with eating disorders. All of the following are orexins, EXCEPT:
1. Leptin
2. Orexin-A
3. Hypocretin 1
4. Hypocretin 2

Correct answer: 1. Leptin

Explanation: Orexins (A and B) or Hypocretins (1 and 2): They are produced by neurons in the lateral hypothalamus perifornical area. Regulated by glucose, leptin, neuropeptide Y, and POMC neurons. They stimulate food intake. Leptin: It is produced in adipose tissue. Acts on neuropeptide Y, AgRP-containing neurons, and -MSH neurons in the arcuate nucleus of the hypothalamus to decrease food intake. Ref: Molina P.E. (2010). Chapter 10. Endocrine Integration of Energy & Electrolyte Balance. In P.E. Molina (Ed), Endocrine Physiology, 3e.